Lactose intolerance in a suspected patient is diagnosed by giving an oral load of lactose and measuring concentration of:
1. CO2
2. H2
3. One/two carbon compounds
4. N2

Correct answer: 2. H2

Explanation: b. H2 (Ref: Nelson's 20/e p 2870, Ghai 8/e p 297)Breath hydrogen tests can be used to determine a specific carbohydrate malabsorption.It can be used to diagnose bacterial overgrowth or lactose/fructose malabsorption.